Which laser is used in the management of after cataracts
1. Argon
2. Krypton
3. Nd - YAG
4. Excimer

Correct answer: 3. Nd - YAG

Explanation: C i.e. Nd-Yag Laser